Blood supply of the upper part of the vagina -
1. Middle rectal artery
2. Internal pudendal artery
3. Cervicovaginal branch of uterine artery
4. Superior rectal artery

Correct answer: 3. Cervicovaginal branch of uterine artery

Explanation: Arterial supply of vagina
-        Main supply- Internal iliac vaginal branch
-        Upper part- Uterine artery cervicovaginal branch
-        Lower part- middle rectal and internal pudendal arteries.